Conn's syndrome is characterized by all except?
1. Polyuria
2. Polydipsia
3. Weakness
4. Anasarca

Correct answer: 4. Anasarca

Explanation: Anasarca or Generalised swelling is not seen in CONN syndrome due to salt escape mechanism. Though there is gain of salt and water due to aldosterone excess, the increased preload will stretch the right atrium and cause release of ANF. This increase in ANF will cause natriuresis and will cancel the gain caused by aldosterone. This natriuresis or salt loss shall be associated with water loss and leads to Polyuria. The resultant polyuria will lead to Polydipsia. The weakness is explained by hypokalemia seen in Conn syndrome.